All the following drugs are mono amino oxidase inhibitors except
1. Moclobemide
2. Tranylcypromine
3. Selegeline
4. Duloxetine

Correct answer: 4. Duloxetine

Explanation: Duloxetine is antidepressant -SNRI-Serotonin norepinephrine reuptake inhibitorRef: Katzung 13thed.Pg 528